Causative agent for 'Oriental sore' is:-
1. Leishmania donovoni
2. Leishmania tropica
3. Leishmania braziliensis
4. Onchocerca volvulus

Correct answer: 2. Leishmania tropica

Explanation: Leishmania tropica causes Cutaneous leishmaniasis and Oriental Sore. Leishmania donovoni causes Visceral leishmaniasis. (Kala azar) Leishmania brazeliensis causes Muco-cutaneous leishmaniasis. Onchocerca volvulus cause Onchocerciasis. (River blindness)